Placenta increta means:
1. Villi are attached to lower uterine segment
2. Villi are attached to myometrium
3. Villi invade myometrium
4. Villi penetrate through myometrium

Correct answer: 3. Villi invade myometrium

Explanation: Placenta increta is when the villi invade the myometrium. Placenta accreta syndrome describes the anomaly implanted, invasive or adhered placenta. The abnormally firm adherence to the myometrium is due to the partial or total absence of the decidua basalis and imperfect development of the Nitabuch layer. Nitabuch Layer: A layer of fibrin between the compact endometrium and the cytotrophoblastic shell in the placenta. This layer is absent in placenta accreta. Types Definition Placenta accreta Villi are attached to the myometrium Placenta increta Villi invade the myometrium Placenta percreta Villi penetrate through the myometrium and to or through the serosa These three variants are encountered in an approximate ratio of 80:15:5, respectively Ref: Williams Obstetrics 24th edition Pgno: 804